MELD score doesn't include:
1. INR
2. S. bilirubin
3. S. creatinine
4. Blood urea

Correct answer: 4. Blood urea

Explanation: MELD - Model for End Stage liver disease Components of MELD Score (mnemonic - CBI) C - CREATININE B - BILIRUBIN I - INR (International Normalised Ratio)